The most accepted method for treatment of a myopic with refractive error of 2D is:
1. Spectacles
2. Contact lens
3. Radial keratotomy
4. Excimer laser

Correct answer: 1. Spectacles

Explanation: Ans. Spectacles